Which drug is to be given in a truck driver for rhinitis ?
1. Cetrezine
2. Hydroxyzine
3. Promethazine
4. Buclizine

Correct answer: 1. Cetrezine

Explanation: Ans. is 'a' i.e., Cetrezine